Antrochoanal polyp opens In which meatus:
1. Middle meatus
2. Superior meatus
3. Inferior meatus
4. Sphenoethmoidal recess

Correct answer: 1. Middle meatus

Explanation: Ans: A Middle Meatus Ref: Dhingra's ENT 6th ed./ 173-75* ANTROCHOANAL POLYP most commonly seen in children. They are unilateral, usually arises from the mucosa of maxillary antrum near its accessory ostium comes out of it & grows in the chonna & nasal cavity.* Maxillary sinus opens into the middle meatus.